Congenital Rubella Syndrome has all of the following EXCEPT:
1. Sensorineural deafness
2. Cataract
3. Cardiac Defects
4. Hydrocephalus

Correct answer: 4. Hydrocephalus

Explanation: Ans. (d) HydrocephalusRef.: OP Ghai 8th ed./272The classic Triad for Congenital Rubella Syndrome is:* Sensorineural deafness (58% of patients)* Eye abnormalities--especially retinopathy, cataract and microphthalmia (43% of patients)* Congenital heart disease--especially patent ductus arteriosus (50% of patients)* "Salt-and-pepper" retinopathy is the most common ocular manifestation of congenital rubella.Other Manifestations of CRS may Include:* Spleen, liver or bone marrow problems* Intellectual disability* Microcephaly* Eye defects* Low birth weight* Thrombocytopenic purpura (presents as a characteristic blueberry muffin rash)* Hepatomegaly* Micrognathia